A 26 year old female patients presents to emegency with history of consuming hair dye paraphenylenediamine . What shall be the expected outcome in such patient ?
1. Blindness
2. Nerve pathology
3. Dermatitis
4. Rhabdomyolysis

Correct answer: 4. Rhabdomyolysis

Explanation: Hair dye poisoning(Paraphenylenediamine ): Cost-effective alternative to Organophosphate poisoning Readily available to masses. Clinical manifestations are Angioedema leading to dysphasia and respiratory distress, Rhabdomyolysis, Intravascular hemolysis, Acute renal failure and hepatic necrosis. Myocarditis or fatal arrhythmia may also occur in PPD poisoning. Mainstay of management is early recognition and supportive measures as there is no specific antidote